Which among the following is not a branch of Arch of Aorta?
1. Brachiocephalic
2. Right common carotid
3. Left common carotid
4. Left Subclavian

Correct answer: 2. Right common carotid

Explanation: ANSWER: (B) Right common carotidREF: Keith L. Moore 4th edition page 103The branches of the arch of the aorta are:Brachiocephalic trunk.Left common carotid artery.Left subclavian artery.The brachiocephalic trunk, the first and largest branch of the arch, arises posterior to the manubrium, where it lies anterior to the trachea and posterior to the left brachiocephalic vein. It ascends superolaterally to reach the right side of the trachea and the right sternoclavicular joint, where it divides into the right common carotid and right subclavian arteries.1. Ascending aorta2. Left subclavian artery3. Left vertebral artery4. Left common carotid artery5. Brachiocephalic artery6. Right common carotid7. Right vertebral artery8. Right subclavian artery9. Descending aorta10. Aortic arch